Absolute lymphocytosis is seen in -a)  SLEb)  T.B.c) CLLd)  Brucellosis
1. abc
2. bcd
3. ac
4. bd

Correct answer: 2. bcd